Which of the following snake produces paralysis with convulsions
1. Viper
2. Sea snakes
3. Cobra
4. Krait

Correct answer: 3. Cobra

Explanation: Ans. is 'c' i.e., Cobra According to clinical features, snakes are divided into : A. Neurotoxic It includes elapids, i.e. cobra, krait and coral snake. Krait is the most common poisonous snake in india. These have minimal reaction locally, but produce strong neurotoxicity. They act on motor nerve cells, resembling poisoning with curare. There is weakness of legs and face. Muscle paralysis occurs in following order :- mouth (first) followed by throat and finally respiratory muscles. Cobra venom also produces convulsions (krait venom produces only paralysis). B. Vasculotoxic (hematotoxic) It includes vipers. Viper venom contains hemolysins and thromboplasin which cause widspread endothelial damage and hemolysis. Locally at the site of bite, there is severe oozing of blood. There may be coagulation abnormalities with death due to hemorrhagic shock. Hematuria and hemoglobinuria occurs due to hemolysis. C. Myotoxic (musculotoxic) These are sea snakes. Their venom produces generalized muscle pain, weakness, followed by polymyositis,myoglobinuria, hyperkalemia and increased muscle enzymes. Finally there is respiratory and renal failure.